Which is a late side effect of typical anti psychotics?
1. Parkinsonism
2. Tardive dyskinesia
3. Acute muscular dystonia
4. Akathasia

Correct answer: 2. Tardive dyskinesia

Explanation: Ans. is 'b' i.e., Tardive dyskinesia